Genetic analysis is done a patient which showed a loss of function mutation in a gene that leads to accumulation of misfolded proteins. which of the following biochemical process is most likely affected
1. Glucuronidation
2. Ubiquitination
3. Acetylation
4. Phosphorylation

Correct answer: 2. Ubiquitination

Explanation: Ubiquitination is a ATP dependent pathway for protein degradation. Impairment of this process leads to accumulation of misfolded proteins.